Contraindication for surgery in varicose veins:-
1. DVT
2. Multiple incompetent perforators
3. Ulcer at ankle
4. None

Correct answer: 1. DVT

Explanation: DVT is the contraindication for surgery in varicose veins as superficial veins are only channel for drainage of venous blood .